Which opioid can cause tachycardia?
1. Fentanyl
2. Remifentanyl
3. Pethidine
4. morphine

Correct answer: 3. Pethidine

Explanation: Meperidine(and methadone) inhibits the neuronal reuptake of serotonin leading to serotonergic overactivity which can causeSerotonin Syndrome in patients receiving monoamine oxidase inhibitors. The symptom complex includes fluctuations in blood pressure, hyperthermia, delirium,convulsions, coma, and death. Thus it is not co-administered with mono amine oxidase inhibitors or is used 14 days after the discontinuation of mono amine oxidase inhibitors